A bicyclist suddenly applies brake and lands on his perineum on the cross bar of the bicycle on an attempt to urinate he develops marked swelling of scrotum. The structure most probably injured is
1. Bladder
2. prostatic urethra
3. Spongy urethra
4. Membranous urethra

Correct answer: 3. Spongy urethra

Explanation: A bicyclist directly lands on his perineum leading to spongy urethrs / Bulbar urethral injury.